A 37-year-old woman undergoes a routine breast examination. During the examination, the physician is aware that the skin of the breast moves together with the underlying breast tissue, rather than being obviously separate from it. The breast tissue is normally attached to the overlying skin which of the following?
1. Cooper's ligaments
2. Cruciate ligaments
3. Falciform ligament
4. Poupart's ligaments

Correct answer: 1. Cooper's ligaments

Explanation: The suspensory ligaments of Cooper are fibrous condensations of connective tissue stroma that attach the mammary gland to the dermis of the overlying skin. These are particularly prominent in the superior aspect of the breast, and help to support the breast tissue. The cruciate ligaments are in the knee. The falciform ligament attaches the peritoneum to the liver. Poupart's ligament is an alternative name for the inguinal ligament.